Non-absorption of fat-soluble vitamins is due to
1. Steatorrhoea
2. Pancreatic endocrine insufficiency
3. Both
4. None

Correct answer: 1. Steatorrhoea

Explanation: Steatorrhoea is an increase in stool fat excretion of >6% of dietary fat intake seen in malabsorption syndromes.Steatorrhoea may lead to weight loss, it is often associated with fat-soluble vitamin deficiency.Elevated alkaline phosphatase and reduced calcium levels suggest vitamin D deficiency and elevated prothrombin time suggests vitamin K deficiency.The gold standard test for steatorrhoea is quantitative stool fat estimation and the qualitative test is done using Sudan III stain, best used as a preliminary screening test.Chronic pancreatitis causes steatorhoea due to lipase deficiency(exocrine defect).Ref: Harrison's 18th e p2460, 2466